Which of the following is true regarding major basic protein?
1. Formed by Eosinophils
2. Cytotoxic to parasites
3. Not very effective against bacteria
4. All the above

Correct answer: 4. All the above

Explanation: Major basic protein is toxic cationic protein that is the principal protein found in the granules of eosinophils and that is capable of damaging tissue. Its main function is to bind to and kill larvae of helminthic worms. Other proteins secreted by eosinophils are eosinophil cationic protein, eosinophil peroxidase, and an eosinophil-derived neurotoxin. All of these proteins have anti-bacterial and anti-worm properties.